Which of the following is NOT a content of medial wall of middle ear:
1. Oval window
2. Round window
3. Processus cochleariformis
4. Aditus ad antrum

Correct answer: 4. Aditus ad antrum

Explanation: Ans. (d) Aditus ad antrumReft Dhingra's ENT 6th edj 5-6* Aditus ad antrum is located on posterior wall. It is a doorway to antrum of mastoid.* Antrum is largest mastoid air cell.